Best treatment for buphthalmos is
1. Trabeculectomy
2. Goniotomy
3. Cryotherapy
4. Conservative

Correct answer: 2. Goniotomy

Explanation: Ans. b (Goniotomy). (Ref. Parson, Diseases of Eye, 18th/pg.214)BUPHTHALMOSNormal IOT in Schiotz tonometer is 14-20 mmHg.Glaucoma Index =Initial IOP-----------Facility of outflow(Normal < 100)Treatment of choice for buphthalmos is goniotomy.Eventual success rate with goniotomy is 85%.However in resistant cases trabeculectomy and trabeculotomy are helpful.Trabeculotomy is useful when corneal clouding is present or when goniotomy fails.